Recurrent Bilateral Hypopyon formation associated with thrombophlebitis is most consistent with which of the following:
1. HLA B 27 associated uveitis
2. Behcet's syndrome
3. Syphilis
4. Herpes Zoster

Correct answer: 2. Behcet's syndrome

Explanation: Answer is B (Behcet's syndrome): Recurrent bilateral Hypopyon is a characteristic feature of Behcet's syndrome. Behcet's syndrome is also associated with thrombophlebitis which is therefore the single hest answer of choice. HLA - B27 associated uveitis may also present with hypopyon but this is typically unilateral and not associated with thrombophlebitis.